A technique of transforming two fluid (or paste-like) materials into a homogeneous mixture without mechanical stirring is known as:
1. Static mixing
2. Rheology
3. Dynamic mixing
4. Mixing time

Correct answer: 1. Static mixing

Explanation: Static mixing — A technique of transforming two fluid (or paste-like) materials into a homogeneous mixture without mechanical stirring; it requires a device that forces two streams of material into  a mixer cylinder, such that as the streams move through the mixer, while the stationary elements in the mixer continuously blend the materials.
Key Concept
A technique of transforming two fluid (or paste-like) materials into a homogeneous mixture without mechanical stirring is called static mixing.
Ref: Phillip’s Science of Dental Materials ed 12 pg 152